A 28 year old male presented to you with lower abdominal pain associated with pain in the groin. He also complains of nausea. Elevation of the testis relieves his pain. What is your diagnosis?
1. Ureteric colic
2. Prostatitis
3. Epididymo orchitis
4. Torsion of testis

Correct answer: 3. Epididymo orchitis

Explanation: Here since elevation of testis decreases the pain, it is a case of Epididymo orchitis and manipulation surgery should be performed at the earliest to keep the testis viable. In Torsion testis the pain increseas on elevation of the testis. In prostatitis pain occurs on performing a digital rectal examination. Ref: Bailey, Edition 24, Page - 1406